Breast feeding contraindication
1. Hep A
2. Hep B
3. CMV
4. Active untreated T.B

Correct answer: 4. Active untreated T.B

Explanation: Ans. is 'd' i.e., Active untreated tuberculosis Contraindication of Breast feeding Galactosemia Active untreated tuberculosis - only in initial period HIV positive mother - especially in developed country. Some medication Not contraindication of breast feeding Hbs Ag positive mother Hepatitis C infection CMV Febrile Tobacco smoking Alcohol